Orogranulocytes are:
1. Granulocytes present in the gingival connective tissue
2. Mast cells present in the G.C.F
3. P.M.Ns. reaching oral cavity through subepithelium
4. All of the above

Correct answer: 3. P.M.Ns. reaching oral cavity through subepithelium